Rotavirus vaccine is -
1. Live oral
2. Killed intramuscular
3. Killed subcutaneous
4. Live subcutaneous

Correct answer: 1. Live oral

Explanation: Ans. is 'a' i.e., Live oral * The Rotavirus vaccines are live -attenuated vaccines given orally.* Two new vaccines are now in use -i) RV5 oralpentavalent vaccine (Rota teq) Contains five reassortant rotaviruses developed from 5 human strains on bovine rotavirus background ii) RV1 monovalent vaccine (Rotarix) contains one live attenuated rotavirus strain * The administration of Rotarix (2 doses) and Rota Teq (3 doses) needs to be completed by 32 weeks of age to minimize any potential risk of intusscusception.